In good pasture syndrome, which organ is involved apart from lung?
1. Kidney
2. Liver
3. Spleen
4. Heart

Correct answer: 1. Kidney

Explanation: Goodpasture Syndrome - Type 2 HSN, Ab against anti - GBM Ab. Lung (Hemoptysis) and Kidney (Hematuria) MC involved organs. Treatment - Steroid